Inferior pancreaticoduodenal artery is a branch of which of the following artery?
1. Splenic artery
2. Left gastric artery
3. Gastroduodenal artery
4. Superior mesenteric artery

Correct answer: 4. Superior mesenteric artery

Explanation: Inferior pancreaticoduodenal artery is a branch of superior mesenteric artery. It supplies the pancreas and adjoining part of the duodenum. Its anterior and posterior branches anastomose with the branches of superior pancreaticoduodenal artery. This anastomosis is the only communication between the arteries of foregut and midgut. Branches of superior mesenteric artery are: Inferior pancreaticoduodenal artery Jejunal and ileal branches Ileocolic artery Right colic artery Middle colic artery Ref: Gray's anatomy text book of anatomy BD chaurasia 21st Ed.